Mid-day meal contains proteins and calories in what proportion?
1. 1/2 proteins and 1/2 calories
2. 1/2 proteins and 1/3 calories
3. 1/3 proteins and 1/3 calories
4. 1/3 proteins and 2/3 calories

Correct answer: 2. 1/2 proteins and 1/3 calories

Explanation: The mid-day meal programme is also known as school lunch programme. Following broad principles should be kept in mind:The meal should be a supplement and not a substitute to the home dietThe meal should supply at least one-third of the total energy requirement and half of the protein needThe cost of the meal should be reasonably lowThe meal should be such that it can be prepared easily in schools; no complicated cooking process should be involvedAs far as possible locally available foods should be used; this will reduce the cost of the meal andThe menu should be frequently changed to avoid monotonyRef: Park; 23rd ed; Pg 661